Extrapyramidal adverse effect is commonly caused by -
1. Anti-depressants
2. Anti psychotics
3. Anti-manic
4. Anti-epileptic

Correct answer: 2. Anti psychotics

Explanation: Ans. is 'b' i.e., Anti psychoticso Extrapyramidal S/E are the most common of anti-psychotic drugs, particularly typical anti psychotics like (haloperidol, thioridazine, etc).# Extrapyramidal symptoms occur due to D blockade in limbic system.o Important extrapyramidal S/E :Acute muscular dystoniaParkinonismAkastharia (M/L extrapyramidel symptom)Malignant neuroleptic syndromeTardive dystonia